True about polycythemia rubra vera is all except -
1. Bleeding
2. Thrombosis
3. ↓ed ESR
4. Infection

Correct answer: 4. Infection